In surgical anterolateral approach to tibia, incision is taken over the tibialis anterior muscle mass rather than over the shaft. What is/ are the advantages?
1. Medially based flap
2. Less chances of wound dehiscence
3. Can be converted to an extensile approach
4. All the above

Correct answer: 4. All the above

Explanation: Ans. is 'd' i.e., All the above * In surgical anterolateral approach to tibia, incision is taken over the tibialis anterior muscle mass rather than over the shaft. Following are the advantages :i) If required can be converted to an extensile approach. Entire tibia from knee to ankle can be exposed.ii) Open wound treatment of the fracture is possible with this incision with proper planning i.e. in cases where the fracture is compound and/ or there is excess tension while closing the wound, the surgical wound can be left open - with adequate planning the bones and implants will remain adequately covered by the medial flap.iii) Medially based flap - since the incision is lateral to the subcutaneous surface, the skin flap will be based medially, in an area of higher vascularity and skin sloughs will not normally occur.